Mechanism of action of Abciximab?
1. Inhibitor of GPIIb/IIIa
2. Inhibitor of adenosine reuptake
3. Anti-thrombin III inhibitor
4. All of the above

Correct answer: 1. Inhibitor of GPIIb/IIIa

Explanation: Ans. a (Inhibitor of GPIIb/IIIa) (Ref. KDT 6th/pg. 610)Inhibitors of GPIIb/IIIa receptors on plateletsABCIXIMAB(o humanized monoclonal antibody directed against the IIb/IIIa complex)# Tirofiban# Eptifibatide# AbciximabMechanismMonoclonal antibody that binds to the glycoprotein receptor IIb/IIIa on activated platelets, preventing aggregation.Clinical useAcute coronary syndromes, Percutaneous transluminal coronary angioplasty.ToxicityBleeding, Thrombocytopenia DrugMechanism of actionTirofiban & EptifibatideSpecific GpIIb/IIIa receptor inhibitionClopidogrelADP-induced platelet aggregation inhibition by irreversibly Dlocking P2Y12FondaparinuxInhibition of factor XaDabigatranOral thrombin inhibitionAtfimeprasePlasmin-independent fibrinolysis